A 3-year-old boy is admitted to the children's hospital with complaints of restlessness, abdominal pain, and fever. An MRI examination reveals that he has a double ureter. Which of the following embryonic structures is most likely failed to develop normally?
1. Mesonephric (Wolffian) duct
2. Paramesonephric (Mullerian) duct
3. Ureteric bud
4. Metanephros

Correct answer: 3. Ureteric bud

Explanation: The ureteric bud is an outgrowth of the mesonephric duct and develops into the ureter, renal pelvis, calyces, and collecting tubules. However, a bifurcated ureteric bud results in a partial duplication (bifid) of the ureter, whereas two separate ureteric buds result in a complete duplication. Mesonephric duct forms efferent ductules, epididymal duct, ductus deferens, ejaculatory duct, and seminal vesicles. Paramesonephric duct regress and its vestigial remnants form the appendix testis. Metanephros develops into the adult kidney. Pronephros degenerates and never forms functional nephrons.